Marker for ovarian carcinoma in serum is
1. CA-125
2. Fibronectin
3. Acid Phosphatase
4. PSA

Correct answer: 1. CA-125

Explanation: TABLE 8.14: Important Tumour Markers. CANCER ASSOCIATED PROTEINS: i. CA-125:-Ovary ii. CA 15-3 :-Breast iii. CA 19-9 :-Colon, pancreas, breast iv. CD30 :-Hodgkin's disease, anaplastic large cell lymphoma (ALCL) v. CD25 :-Hairy cell leukaemia (HCL), adult T cell leukaemia lymphoma (ATLL) vi. Monoclonal immunoglobulins :-Multiple myeloma, other gammopathies vii. Prostate specific antigen (PSA) :-Prostate carcinoma HARSH MOHAN Textbook of pathology 6th edition pg no 234